Bile acids synthesized in the liver (Primary bile acids) -
1. Cholic acid
2. Chenodeoxycholic acid
3. Taurocholic acid
4. All of these

Correct answer: 4. All of these

Explanation: Primary bile acids are cholic acid and chenodeoxycholic acid. These are conjugated with glycine and taurine to form glycocholic acid, glycochenodeoxycholic acid, taurocholic acid, and taurochenodeoxycholic acid.
Secondary bile acids are deoxycholic acid and lithocholic acids.